Vagabond disease is:
1. Pediculosis corporis
2. Scabies
3. Eczema
4. Ringworm

Correct answer: 1. Pediculosis corporis

Explanation: Vagabond disease ( Pediculosis Corporis):in person affected by triad of: Inadequate food Low personal hygiene Heavy infestation of pediculi Usually show Addisonian pattern of pigmentation with involvement of mucous membrane. Exact pathogenesis of hyperpigementaion -not known but considered to be post inflammatory. Adrenal function is normal in most of the cases.